All of the following are true about Thornwaldt's abscess except
1. Also called as pharyngeal bursitis
2. Presents as persistent postnasal drip
3. Antitubercular treatment given
4. Marsupialization is done

Correct answer: 3. Antitubercular treatment given

Explanation: THORNWALDT'S DISEASE (PHARYNGEAL BURSITIS) It is infection of the pharyngeal bursa which is a median recess representing attachment of notochord to endoderm of the primitive pharynx. Pharyngeal bursa is located in the midline of posterior wall of the nasopharynx in the adenoid mass. CLINICAL FEATURES :- 1. Persistent postnasal discharge with crusting in the nasopharynx. 2. Nasal obstruction due to swelling in the nasopharynx. 3. Obstruction to eustachian tube and serous otitis media. 4. Dull type of occipital headache. 5. Recurrent sore throat. 6. Low-grade fever. Examination would reveal a cystic and fluctuant swelling in the posterior wall of nasopharynx. It may also show crusts in the nasopharynx due to dried up discharge. TREATMENT:- Antibiotics are given to treat infection and marsupialization of the cystic swelling and adequate removal of its lining membrane. Ref:- Dhingra; pg num:-245